Definite contraindication for bag and mask ventilation is:-
1. Cleft lip
2. Cleft palate
3. Congenital diaphragmatic hernia
4. Umbilical hernia

Correct answer: 3. Congenital diaphragmatic hernia

Explanation: Bag & mask ventilation - avoided in Congenital diaphragmatic hernia It enlarges the stomach and small bowel & makes oxygenation more difficult.